Screening is not recommended if ?
1. Prevalence of disease is high
2. Life expectancy can be prolonged by early diagnosis
3. Diagnostic test should be available
4. Diseases with no latent period

Correct answer: 4. Diseases with no latent period

Explanation: Ans. is 'd' i.e., Disease with no latent period The disease to be screened should fulfil the following criteria before it is considered suitable for screening:? The condition sougth should be an important health problem (in general, prevalence should be high). There should be a recognizable latent or early asymptomatic stage. The natural history of the contition, including development from latent to declared disease, should be adequately understood (so that we can know at what stage the process ceases to be reversible). There is a test that can detect the disease prior to the onset of signs and symptoms. Facilities should be available for confirmation of the diagnosis. There is an effective treatment. There should be an agreed-on policy concerning whom to treat as patients (e.g., lower ranges of blood pressure; border-line diabetes). There is good evidence that early detection and treatment reduces morbidity and mortality. The expected benefits (e.g., the number of lives saved) of early detection exceed the risks and costs.